Which is false about cohort study?
1. Incidence can be measured
2. Used to study chronic diseases
3. Expensive
4. Always prospective

Correct answer: 4. Always prospective

Explanation: A prospective study watches for outcomes, such as the development of a disease, during the study period and relates this to other factors such as suspected risk or protection factor(s).
The study usually involves taking a cohort of subjects and watching them over a long period.
The outcome of interest should be common; otherwise, the number of outcomes observed will be too small to be statistically meaningful (indistinguishable from those that may have arisen by chance). All efforts should be made to avoid sources of bias such as the loss of individuals to follow up during the study.
Prospective studies usually have fewer potential sources of bias and confounding than retrospective studies